Best view for mandible is
1. Antero-posterior
2. Lateral
3. Oblique
4. Orthopentomogram

Correct answer: 4. Orthopentomogram

Explanation: A panoramic oral radiograph, or ohopantomogram, is the radiograph of choice for the mandible as it shows the whole bone from condyle to condyle. If the patient cannot be positioned in the machines to achieve these views, radiographs should wait until the patient is f it enough. Poor radiographs can be misleading, and treatment can only be based on adequate radiographs or scans. Bailey & Love,25th,392